Sertoli cell secrets
1. Androgen binding protein
2. Testosterone
3. LH
4. FSH

Correct answer: 1. Androgen binding protein

Explanation: Androgen binding protein is a protein secreted by testicular Sertoli cells along with inhibin and mullerian inhibiting substance. Androgen binding protein probably maintains a high concentration of androgen in the seminiferous tubules.Ref: Ganong's review of medical physiology; 24th edition; page no: 421